Maternal mortality rate is calculated :-
1. Till delivery
2. Till 1 week after delivery
3. Till 42 days after delivery
4. None of the above

Correct answer: 3. Till 42 days after delivery

Explanation: Maternal mortality rate : - 'Maternal death' is defined as 'Death of a woman anytime in pregnancy ,during labour/delivery or within 42 days of delivery Maternal deaths expressed as per 100,000 live births is MMR. Direct cause of MMR - Post-partum hemorrhage. Indirect cause of MMR - Anemia.